All of the following are the main virulence factors of Pseudomonas aeruginosa except
1. Type III secretion system
2. Proteases
3. Enterotoxin
4. Phospholipases

Correct answer: 3. Enterotoxin